Nucleic acid is not found in
1. Virus
2. bacteria
3. Fungus
4. Prions

Correct answer: 4. Prions

Explanation: o Prions are infectious particle which contains protein only
o They do not have nucleic acid. Prions have been defined as
- Small proteinaceous infectious particle which resist inactivation by procedures that modify nucleic acids